Structures lying deep to posterior belly of digastric are all, except
1. Retromandibular vein
2. Hypoglossal nerve
3. Hyoglossus muscle
4. Occipital artery

Correct answer: 1. Retromandibular vein

Explanation: Relations of the posterior belly of digastric Superficial Mastoid process with the sternocleidomastoid splenius capitis and the longissimus capitis The stylohyoid The parotid gland with retromandibular vein Submandibular salivary gland and lymph nodes Angle of the mandible with medial pterygoid Deep Transverse process of the atlas with superior oblique and the rectus capitis lateralis. Internal carotid, external carotid, lingual, facial, and occipital arteries Internal jugular vein Vagus, accessory and hypoglossal cranial nerves The hyoglossus muscle Upper border Posterior auricular artery The stylohyoid muscle Lower border Lower border is related to occipital artery Ref BDC volume 3; 6th edition pg 131